Non hormonal drug to prevent post menopausal osteoporosis is:
1. Alendronate
2. Estrogen
3. Raloxifene
4. Parathyroid

Correct answer: 1. Alendronate

Explanation: Alenderonate, etidronate, pamidronate, and Ibandronate are bisphosphonates which inhibit bone resorption, and are very effective for both osteoporosis prevention and treatment.
Uses:
• First line drugs for treating postmenopausal osteoporosis
• Paget’s disease
• Osteolytic bone metastasis.
Caution: Patient should be instructed to take these drugs on an empty stomach with a large glass of water and then to remain upright for atleast 30 minutes as its major side effect is GI upset.
Route of administration: Oral or IV infusion
Now lets have a look at other options:
• Raloxifene: It is a selective estrogen receptor modulator which is also useful in management of osteoporosis but it is a hormonal preparation.
• Parathyroid hormone: It is a novel therapy for osteoporosis. Unlike most of the treatments for osteoporosis that inhibit bone resorption, parathyroid hormone stimulates new bone formation. It is given by daily subcutaneous injection.
Also Know:
Other non-hormonal drugs used for treatment of osteoporosis:
a. Calcium
b. Vitamin D
c. Calcitonin
d. Slow releasing sodium fluoride.